In which of the following diseases decrease in levels of single neurotransmitter was first identified?
1. Alzheimer's disease
2. Parkinson's disease
3. Huntington disease
4. Schizophrenia

Correct answer: 2. Parkinson's disease

Explanation: Neurons of the substantia nigra communicate with neurons of the basal ganglia by liberating the neurotransmitter dopamine (DA). In Parkinson's disease, neurons of the substantia nigra progressively degeneration; as a result, the amount of DA available for neurotransmission in the corpus striatum is lowered. Ref Harrison20th edition pg 2456